Linzenmeyer is used to measure:
1. Bleeding time
2. Clotting time
3. Prothrombin time
4. ESR

Correct answer: 4. ESR

Explanation: - Linzenmeyer is old technique used to measure eythrocyte sedimentation rate.